Vitamin H is also known as
1. Cobalamin
2. Biotin
3. Pyridoxine
4. Folate

Correct answer: 2. Biotin

Explanation: Vit H is also known as Biotin. In old literature Biotin was known as anti-egg white injury factor. Biotin was isolated in 1942 by Vincent du Vigneaud, who was awarded Nobel prize in 1955. Reference: DM Vasudevan,Textbook of Biochemistry, pg no. 399